Mastitis in infants -
1. Treated with antibiotics
2. More common in boys
3. It is a congential infection
4. Most common organism is E Coli

Correct answer: 1. Treated with antibiotics

Explanation: Ans. is 'a' i.e., Treated with antibiotics Infatile mastitiso Mastitis (infection of breast tissue) typically occurs in infants after 2 months of age. During the first 2 weeks of life, it occurs with equal frequency in males and females; thereafter, it is more common in girls, with a female:male ratio of approximately 2:1o This is thought to be related to the longer duration of physiologic breast hypertrophy in female infants. The majority of cases of neonatal mastitis are caused by Staphylococcus aureus; less common causes include gramnegative enteric organisms (e.g. Escherichia coli, Salmonella), anaerobes, and Group B Streptococcuso Clinically, infants usually present with unilateral swelling, erythema, warmth, tenderness, and induration of the breast, occasionally with purulent discharge from the nipple, and/or fluctuation suggesting breast abscesso Mastitis in infancy is usually a local infection, and systemic symptoms such as fever, vomiting, lethargy, and irritability are uncommon.o Much of the literature recommends treatment with parenteral antibiotics with good coverage for S. aureus.